Ulcerative colitis almost always involves the ... ?
1. Caecum
2. Sigmoid
3. Right colon
4. Rectum

Correct answer: 4. Rectum

Explanation: Ans. is 'd' i.e., Rectum